A 24 year old patient suffered from 3rd degree burn of right upper limb, 2nd degree burns of right lower limb and 1st degree burn of whole of the back. Total percentage of burn will be?
1. 27%
2. 36%
3. 45%
4. 54%

Correct answer: 1. 27%

Explanation: ANSWER: (A)27% REF: Sabiston 18th e chapter 22 Burn size is generally assessed by the so-called rule of nines. In adults, each upper extremity and the head and neck are 9% of TBSA (total body surface area), the lower extremities and the anterior and posterior aspects of the trunk are 18% each, and the perineum and genitalia are assumed to be 1% of TBSA. Degree of burn has nothing to do with calculation of percentage of burns. However different degrees of burns can be allotted their respective shares; for example a total of 27% burns as in this case can be said as 9% of 3rd degree + 18% of 2nd degree Note that- 1st degree burns are not considered in calculating the total area of burns in adults. However in children and infants, 1st degree burns are taken into consideration.